Factors favoring fat embolism in trauma patient-a) Diabetes Mellitusb) Mobility of jointc) Resp. failured) Hypvolemic shock
1. b
2. c
3. ac
4. ad

Correct answer: 4. ad

Explanation: Development of fat embolism syndrome in traumatized patients (i.e. post-traumatic fat embolism syndrome) is favored by :-

Several general pre-existent conditions : old age, diabetes mellitus.
Severe coexisting pathological condition following the trauma event : Shock, sepsis, DIC

Local conditions : Pressure, fracture mobility, humoral effects.
About option b

Mobility at fracture site is a risk factor, not mobility at the joint.